Which organism cannot be cultured ?
1. Klebsiella rhinoscleromatis
2. Klebsiella ozaenae
3. Klebsiella granulomatis
4. Pneumocystis jiroveci

Correct answer: 4. Pneumocystis jiroveci

Explanation: Ans. is 'd' i.e., Pneumocytstis jiroveci "The life cycle of pneumocystis probably involves sexual and asexual reproduction, although definitive proof awaits the development of a reliable culture system". - Harrison "Rhinosporidium seeberi has not been cultivated in media". - Ananthnarayan.